Lowest court to give imprisonment upto 10 years:
1. Chief Judicial Magistrate
2. Additional Session Judge
3. Assistant Session Judge
4. Chief Metropolitan Judge

Correct answer: 3. Assistant Session Judge

Explanation: Ans. Assistant Session Judge